MTP Act was introduced in:
1. 1961
2. 1971
3. 1981
4. 1991

Correct answer: 2. 1971

Explanation: Ans: B (1971) Ref: The Essentials of Forensic Medicine and Toxicology by KS Narayan Reddy. 29th edition. 2010.Explanation:The Medical Termination of Pregnancy (MTP) Act of IndiaIt clearly states the conditions under wfhich a pregnancy can be ended or aborted, the persons who are qualified to conduct the abortion and the place of implementation.Women whose physical and/or mental health were endangered by the pregnancyWomen facing the birth of a potentially handicapped or malformed childRapePregnancies in unmarried girls under the age of eighteen w ith the consent of a guardianPregnancies in ''lunatics'* with the consent of a guardianPregnancies that result are a result of failure in sterilisationThe length of the pregnancy must not exceed twenty weeks in order to qualify for an abortion.MTP Act of 1971 legalizes abortion on the following grounds:TherapeuticEugenicHumanitarianSocial